Sociology-
1. Study of human relationship
2. Study of behaviour
3. Both
4. None

Correct answer: 3. Both

Explanation: sociology ; study of human relationships and behaviour for a better understanding of the pattern of human life. it also concerned with the effects on the individual of the ways in which other individuals think and act ref ;(page no;670)23rd edition of PARK's textbook of Preventive and Social medicine